Location of Arlt's line:
1. Sclera
2. Lens
3. Lower palpebral conjunctiva
4. Upper palpebral conjunctiva

Correct answer: 4. Upper palpebral conjunctiva

Explanation: Ans. (d) Upper palpebral conjunctivaRef: A.K. Khurana 6th ed. 169* Conjuctival scarring seen in trachoma as irregular stellate shaped scars over sulcus subtarsalis is called Arlts line.* It is seen in upper palpebral conjunctiva.